Cooley's anemia is other name of?
1. Beta thalassemia major
2. Beta thalassemia minor
3. Aplastic anemia
4. Pernicious anemia

Correct answer: 1. Beta thalassemia major